Thyocervical trunk is a branch of
1. 1st
2. 2nd
3. 3rd
4. None

Correct answer: 1. 1st

Explanation: Thyrocervical trunk is a short, wide vessel which arises from the front of the first part of the subclavian artery, close to the medial border of the scalenus anterior, and between the phrenic and vagus nerves. It almost immediately divides into the inferior thyroid, suprascapular and transverse cervical arteries. Ref: BD Chaurasia's HUMAN ANATOMY, Volume 3, 4th edition.